Most common tumor of hand is ?
1. Enchondroma
2. Chondroblastoma
3. Giant cell tumour
4. Osteoid osteoma

Correct answer: 1. Enchondroma

Explanation: .ENCHONDROMA - This is a benign tumour consisting of a lobulated ma s s of cartilage encapsulated by fibrous t issue. The intercellular mat r ix may undergo mucoid degeneration. Frequently the fibrous septae dividing Enchondroma * Age group : 15-30 years * Bones: Small bones of the hand (phalanges, metacarpals etc., usually multiple. * Site : Diaphysis * Others features: Long duration, benign swellings. Swelling is the main complaint. ref:ESSENTIAL ORTHOPAEDICS,MAHESWARI,ed 3 ,pg no 331